A 30 year old known SLE female presents with ankle swelling. Her BP is 170/100 mmHg and she has marked lower limb edema. Urine dip stick discloses 4+ proteins with no hematuria. Plasma creatinine is 1.4 mg/dl, albumin is 1.5 g/dl and urine protein excretion rate was 6 gms for 24 hours. What is the cause of this presentation?
1. Amyloidosis
2. Class II lupus nephritis
3. Class V lupus nephritis
4. Pericardial effusion

Correct answer: 3. Class V lupus nephritis